CSF enzymes found normally are:
1. GGT+ALP
2. ALP+CK-MB
3. CK+LDH
4. Deaminase and Peroxidase

Correct answer: 3. CK+LDH

Explanation: CSF enzymes seen normally: Aspartate transaminase (5-12 units/L) Lactate dehydrogenase (5-40 U/L) Creatinine kinase Ref: Medical Biochemistry By Chatterjea, 2011, Page 730.